Classical `Rain drop' lesions seen in -
1. Burkitt's lymphoma
2. Hodgkin's lymphoma
3. Multiple myeloma
4. Haemophilia

Correct answer: 3. Multiple myeloma

Explanation: A skeletal survey showed diffuse osteopenia, a pubic bone fracture, and numerous radiolucent lesions on the skull, which had an appearance known as "raindrop skull" -- a pattern of lytic or punched-out lesions that resemble raindrops hitting a surface and splashing. These findings are characteristic of multiple myeloma Ref Davidson 23rd edition pg 789